Caspases are associated with
1. Apoptosis
2. Cell injury
3. Necrosis
4. Inflammation

Correct answer: 1. Apoptosis

Explanation: Ref: Robbins Pathologic Basis of Disease; 8th edition, Chapter I, Pg: 3Explanation:Caspases play a vital role in all the four options. But, most approximate answer would be apoptosis.Caspases, or cysteine-aspartic proteases or cysteine-dependent aspartate-directed proteases are a family of cysteine proteases that play essential roles in apoptosis (programmed cell death), necrosis, and inflammationBiochemical Features of ApoptosisActivation of Caspases.A specific feature of apoptosis is the activation of several members of a family of cysteine proteases named caspases.The term caspase is based on two properties of this family of enzymes: the "c" refers to a cysteine protease (i.e., an enzyme with cysteine in its active site), and "aspase'' refers to the unique ability of these enzymes to cleave after aspartic acid residues.The caspase family, now1 including more than 10 members, can be divided functionally into two groups--initiator and executioner-- depending on the order in which they are activated during apoptosis. Initiator caspases include caspase-8 and caspase-9.Several other caspases, including caspase-3 and caspase-6, serve as executioners.Like many proteases, caspases exist as inactive pro-enzymes, or zymogens, and must undergo an enzymatic cleavage to become active.The presence of cleaved, active caspases is a marker for cells undergoing apoptosis.